Arch of aorta begins and ends at which level:
1. T2
2. T3
3. T4
4. T5

Correct answer: 3. T4

Explanation: The arch of the aorta (Transverse Aorta) begins at the level of the upper border of the second sternocostal articulation of the right side, and runs at first upward, backward, and to the left in front of the trachea; it is then directed backward on the left side of the trachea and finally passes downward on the left side of the body of the fourth thoracic vertebra, at the lower border of which it becomes continuous with the descending aorta.